True about campylobacter-
1. Polar flagella
2. Grows at 25degC
3. Strict aerobe
4. Psychrophilic

Correct answer: 1. Polar flagella

Explanation: Ans. is 'a' i.e., Polar flagella Campvlobactoro Campylobacter is gram negative, non capsulated, non sporing comma shaped or 'gull wing' shaped bacilluso It is motile by a single polar flagellum and shows darting or tumbling motility.o Campylobactor is nonfermenter (does not ferment carbohydrate); catalase and oxidase positive; and nitrate reduction positive.Gram negative curved spiral rods - Campylobactor jejuniCulture characteristicso Growth occurs under microaerophilic conditions (5% O2, 10% CO2 and 85% N2).o Thermophilic, growing at 42degC (Can grow at 37degC, but incubation at higher tempratures suppresses normal fecal flora).o Transport medium for Campylobacter is Cary-Blair medium.o Media used for cultivation of Campylobacter are:-i) Campy BAP mediumii) Skirrow's mediumiii) Butzlers mediumiv) CVA (Cefoperazone, Vancomycin and amphotericin B)v) Campylobactor agar basevi) Columbia blood agarInfections caused by Campylobactero Campylobacter causes following infections:1) Diarrheal disease# It is the most common disease and is caused most commonly by Campylobacter jejuni.# It is a zoonosis and animals are the main reservoir.# Source is food of animal origin like raw milk and poultry.# Infection occurs by ingestion.# The jejunum and the ileum are the primary sites of colonization.# C. jejuni is invasive pathogen, may involve mesenteric lymph node and cause bacteremia.# After an incubation period of 1-7 days there is fever, abdominal pain and diarrhea. Diseases is usually self limiting and subsides in 5-8 days. But complications may occur :-i) GIT: Cholecystitis, pancreatitis.ii) Extraintestinal: Meningitis, endocarditis, HUS, GB syndrome, arthritis, perotinitis.2) Abscesses# It is caused by Campylobacter sputorum.3) Extraintestinal infections# These are caused by Campylobacter fetus.